What is Prosopagnosia?
1. Impairment of consciousness
2. Being unaware of one's problems
3. Difficulty in identifying known faces
4. Failure to identify objects.

Correct answer: 3. Difficulty in identifying known faces

Explanation: (C) Difficulty in identifying known faces[?]Who gets Prosopagnosia:2% of the world population has ProsopagnosiaChildren with Autism and Asperger Syndrome are more likelyThose who have suffered severe head trauma, stroke, or other degenerative diseasesCaused by damage to Temporal or Occipital lobes.Prosopagnosia:Prosopagnosia is extremely rareProsopagnosia of vascular origin is due to posterior cerebral artery infarcts (PCAIs).PCIAs represent 5-10% of all strokes.The infarct must affect the right side to produce prosopagnosia.Other etiologies include carbon monoxide poisoning, temporal lobectomy, encephalitis, and Alzeimer's disease.An important part of usual input goes to the inferior temporal lobe where representations of feces are stared faces are imp in distinguishing friend and foes and emotional state.An important part of visual input goes to the inferior temporal lobe, where representations of faces, are stored.Faces are important in distinguishing friends and foes and emotional state.Recognition of faces stored in right inferior temporal lobe in right handed persons.In humans, storage and recognition of faces is more strongly represented in the right inferior temporal lobe in right-handed individuals, though the left lobe is also active.Damage to this area can cause prosopagnosia, the inability to recognize faces.Patients with this abnormality can recognize forms and reproduce them.They can recognize people by their voices, and many of them show autonomic responses when they see familiar as opposed to unfamiliar faces.However, they cannot identify the familiar faces they see.NEUROLOGY - GLOSSARYAgnosia: A failure or deficit in recognizing objects.Prosopagnosia:A disruption in face recognition can identify people by voices & show autonomic responses when familiar faces are seen.Appreceptive Agnosia:A form of agnosia in which individual features cannot be integrated into a whole percept or pattern; a basic disruption in perceiving patterns.Associative Agnosia:A form of agnosia in which the individual can combine perceived features into a whole pattern but cannot associate the pattern with meaning or identify it.The presence of autonamic response to a familiar face in the absence of recognition is explained by postulating the existence of a separate dorsal pathway for processing information at a subconscious level.